Which of the following is phase -2 reaction -
1. Oxidation
2. Reduction
3. Cyclination
4. Glucuronidation

Correct answer: 4. Glucuronidation

Explanation: Ans. is 'd' i.e., Glucuronidation o Phase I reactions: - Oxidation, reduction, hydrolysis, cyclization, decyclization.o Phase II reactions: - Acetylation, glutathione conjugation, glucoronide conjugation (glucuranization), glycine conjugation, methylation, sulfate conjugation (sulfuranation), nucleotide synthesis.